The most favoured treatment for a pelvic abscess in cul-de-sac is -
1. Laparotomy
2. Colpotomy
3. External I & D
4. Antibiotics

Correct answer: 2. Colpotomy

Explanation: Ans. is 'b' i.e., Colpotomy